Drug causing hypercoagulability is -
1. L-asparginase
2. Busulfan
3. Melphalan
4. 5-FU

Correct answer: 1. L-asparginase

Explanation: Ans. is 'a' i.e., L-asparginase o The major toxicity of asparginase is clotting abnormalities (hypercoagulability or bleeding tendency). It may also cause pancreatitis, hyperglycemia and neurological toxicity.